Extended sickness benefit for TB under ESI ACT is
1. 91days
2. 1year
3. 2 year
4. 3years

Correct answer: 3. 2 year

Explanation: REF : PARK 21ST ED